Nevirapine is:
1. NNRTI
2. NRTI
3. Integrase inhibitor
4. Neuraminidase inhibitor

Correct answer: 1. NNRTI

Explanation: Ans. A. NNRTINevirapine and efavirenz are non-nucleoside reverse transcriptase inhibitor. Zidovudine, lamivudine, stavudine are NRTI. Raltegravir is integrase inhibitor. Oseltamivir and zanamivir is neuraminidase inhibitor.